Hashimoto's thyroiditis - True are A/E
1. Follicular destruction
2. increase in lymphocytes
3. Oncocytic metaplasia
4. Orphan Annie eye nuclei

Correct answer: 4. Orphan Annie eye nuclei

Explanation: . Papillary thyroid cancer gets its name from the papillae among its cells, visible on microscopy. Features include: Characteristic Orphan Annie eye nuclear inclusions (nuclei with uniform staining, which appear empty) and psammoma bodies on light microscopy. The former is useful in identifying the follicular variant of papillary thyroid carcinomas